Bone resorption markers are all except -
1. Tartrate resistant acid phosphatase
2. Osteocalcin
3. Cross linked-N-telopeptides
4. Urine total free deoxypyridinoline

Correct answer: 2. Osteocalcin

Explanation: Osteocalcin is marker of bone formation (not bone resorption).